Acute Primary Amoebic meningoencephalitis true is -
1. Meningitis caused by acanthamoeba species is acute in nature
2. Diagnosis is by demonstration of trophozoite in CSF
3. Caused by feco-oral transmission
4. More common in tropical climate

Correct answer: 2. Diagnosis is by demonstration of trophozoite in CSF

Explanation: Wet mount preparation of CSF is examined under microscope for demonstration of motile amoeboid trophozoites with characteristics morphology.Staining of CSF with Wright or Giemsa stains may also be done (refer pgno:26 baveja 3 rd edition)